All are true about enterohemorrhagic E.coli Except-
1. Sereny test positive
2. May cause diarrhoea
3. Can cause hemolytic uremic syndrome
4. Verocytotoxin is produced

Correct answer: 1. Sereny test positive